By spirometry, one can measure
1. Residual volume
2. FRC
3. TLC
4. Tidal volume

Correct answer: 4. Tidal volume

Explanation: Most lung volumes are measured by Spirometer. Residual volume, total lung capacity, and functional residual capacity cannot be measured with a spirometer.Ref: Ganong review of medical physiology 23rd edition Page no: 593